All of the following are complications of epidural anaesthesia, EXCEPT:
1. Hypopnoea
2. Total spinal analgesia
3. Urinary retention
4. Hypertension

Correct answer: 4. Hypertension

Explanation: Inadvertent injection of local anesthetic into a dural tear will result in a -total spinal or high block -manifesting as unconsciousness -severe hypotension, and respiratory paralysis requiring immediate aggressive hemodynamic management and control of the airway. A common complication of both spinal and epidural anesthesia is prolonged blockade of parasympathetic fibers that innervate the bladder with resultant urinary retention and the need for a urinary bladder catheter Ref: Dorian R.S. (2010). Chapter 47. Anesthesia of the Surgical Patient. In F.C. Brunicardi, D.K. Andersen, T.R. Billiar, D.L. Dunn, J.G. Hunter, J.B. Matthews, R.E. Pollock (Eds), Schwartz's Principles of Surgery, 9e.